Gamma nail is used in treatment of
1. Fracture neck femur
2. Intertrochanteric femur fracture
3. Ankle arthrodesis
4. Hip arthrodesis

Correct answer: 2. Intertrochanteric femur fracture

Explanation: Smith Peterson Nail - Fracture neck femur 
Gamma Nail - Intertrochanteric femur fracture
Cobra Plates - Hip arthrodesis